Henoch schonlein purpura is characterized by all except:
1. Thrombocytopenia
2. Glomerulonerphritis
3. Arthralgia
4. Abdominal pain

Correct answer: 1. Thrombocytopenia

Explanation: Answer is A (Thrombocytopenia): Schonlein purpura is due to vasculitis and not thrombocytopenia.